Papain acts an gamma globulin to form -
1. 2 Fc fragments
2. 2 Fab fragments
3. I Fab fragments
4. None

Correct answer: 2. 2 Fab fragments

Explanation: Ans. is 'b' i.e., 2 Fab fragments o Papain acts at hinge region to produceOne Fc fragmentsTwo Fab fragments